Facilitated diffusion is characterized by all except:
1. Vmax
2. Competitive inhibition
3. Requires energy
4. Specificity

Correct answer: 3. Requires energy

Explanation: Facilitated diffusion is a carrier-mediated transport. ATP is not consumed in this transport. A conformational change in the carrier molecule causes the substance to be transported to the other side of the membrane. Some models hypothesised for the carrier proteins ~ flip-flop model, ferryboat model. Saturability, Specificity and inhibition are the characteristics of the Facilitated diffusion